First drug of choice for acute pulmonary edema is
1. Furosemide
2. Morphine
3. Aminophyline
4. Oxygen

Correct answer: 1. Furosemide

Explanation: Ans. is 'a' i.e., Furosemide o Loop diuretics (Furosemide) is the DOC for acute pulmonary edema.o In acute left ventricular failure and pulmonary edema, furosemide has benefical effect because of venodilatory action (not because of diuretic action).o Intravenous furosemide causes promt increase in systemic venous capacitance and decreases left ventricular filling pressure even before the diuretic action becomes apparent.